Gestational diabetes develops only during
1. Old age
2. Younger age
3. Pregnancy
4. Infancy

Correct answer: 3. Pregnancy